This serum immunoglobulin constitutes 80% of immunoglobulins in our body is
1. IgM
2. IgA
3. IgG
4. IgD

Correct answer: 3. IgG

Explanation: 80% of immunoglobulins in our body is IgG -major ig Half-life is 23 days Transported through placenta Ref: Text book of Microbiology Baveja 5th ed Pg 99